A 3-month-old infant is brought to the physician because of difficulty feeding, failure to 
thrive, and episodes of bluish pale skin during crying or feeding, Physical examination reveals 
a harsh systolic ejection murmur that is heard over the pulmonic area and left sternal border, 
A chest radiograph at shows a boot-shaped heart, 

Which of the following events will most likely explain the embryologic mechanism responsible for the development of this condition?
1. Anterosuperior displacement of the infundibular septum
2. Failure of aorticopulmonary septum to divide
3. Failure of aorticopulmonary septum to spiral
4. Incomplete absorption of the sinus venosus into the right atrium

Correct answer: 1. Anterosuperior displacement of the infundibular septum